Cyclosporine acts by decreasing the production of :
1. IL–1
2. IL–2
3. IL–6
4. IL–8

Correct answer: 2. IL–2